A 7 years old child from Bihar is having hypo pigmented anesthetic patch on his face. What is the most probable diagnosis?
1. Intermediate leprosy
2. Pityriasis alba
3. Nevus anemicus
4. Nevus achromicus

Correct answer: 1. Intermediate leprosy

Explanation: ANSWER: (A) Intermediate leprosyREF: Rook's Dermatology 7th edp. 29.1-29.19Recurrent scaly hypopigmented macule on face of a child - P. albaRecurrent scaly hypopigmented macule on face of an adult - P. versicolorResident of endemic zone with anesthetic patch over face - Indeterminate leprosy